The production of mature spermatozoa from spermatogonia
1. Takes 32 days
2. Takes 70 days
3. Takes 150 days
4. Is unaffected by Kallmann's syndrome

Correct answer: 2. Takes 70 days

Explanation: It takes approximately 65 to 70 days to develop spermatozoa from the earliest stages of spermatogonia. Because the production of sperm depends on LH and FSH, a lack of GnRH (Kallmann's syndrome) will reduce the production of LH, FSH, and sperm. Temperature is important in regulating sperm production. Optimal sperm production occurs at 2 to 30C lower than body temperature.